A 60 year old man with progressive dementia of recent onset presents with intermittent irregular jerky movemets. EEG shows periodic sharp biphasic waves. The most likely diagnosis is:
1. Alzheimer's disease
2. Creutzfeldt Jakob disease
3. Lewy body dementia
4. Herpes Simplex Encephalitis

Correct answer: 2. Creutzfeldt Jakob disease

Explanation: Answer. is B (Creutzfeldt Jakob disease) : The combination of progressive dementia, irregular jerky movements (myoclonus / choreoathetoid movements) in association with a characteristic EEG pattern (periodic sharp biphasic waves) suggests a diagnosis Creutzfeldt Jakob Disease.